Investigation of choice for entrapment neuropathy is-
1. CT SCAN
2. Clinical examination
3. Ultrasonography
4. EMG NCV

Correct answer: 4. EMG NCV

Explanation: For diagnosis of nerve entrapment special investigation like electromyography & measurement of nerve conduction velocity may help to establish the diagnosis . USG & MRI are useful in excluding soft tissue mass Nerve compression syndrome Nerve compression syndrome or compression neuropathy, also known as entrapment neuropathy, is a medical condition caused by direct pressure on a single nerve . It is known colloquially as a trapped nerve, though this may also refer to nerve root compression . Symptoms Its symptoms include tingling ,numbness, and weakness' . The symptoms affect just one particular part of the body, depending on which nerve is affected. nerve conduction studies help to confirm the diagnosis. In some cases, surgery may help to relieve the pressure on the nerve, but this does not always relive pain. Causes * A nerve may be compressed by prolonged or repeated external force, such as sitting with one's arm over the back of a chair , frequently resting one's elbows on a table or an ill-fitting cast or brace on the leg nerve) * Part of the patient's own body can cause the compression, and the term entrapment neuropathy is used particularly in this situation. The offending structure may be a well-defined lesion or a haematoma. Alternatively, there may be expansion of the tissues around a nerve in a space where there is little room for this to occur, as is often the case in to a specific condition such as aly, hypothyroidism or scleroderma and soriasis * Some conditions cause nerves to be particularly susceptible to compression. These include , in which the blood supply to the nerves is already compromised the nerve more sensitive to minor injuries REF:MAHESWARI 9TH ED